Autophagy is the function of
1. Ribosomes
2. Centrosomes
3. Mitochondria
4. Lysosomes

Correct answer: 4. Lysosomes

Explanation: Autophagy refers self eating (lysosomal digestion) of cell's own components during nutrient deprivation.